An eight month old child will be able to do which of the following:
1. Pincer grasp
2. Sitting stably
3. Stand without support
4. Says mama - baba

Correct answer: 2. Sitting stably